A patient with ruptured spleen is taken for laparotomy. His blood pressure is 80/50 and heart rate is 125/min. Induction agent Of choice for this patient is:
1. Sodium Thiopentone
2. Fentanyl
3. Ketamine
4. Halothane

Correct answer: 3. Ketamine

Explanation: Thiopentone sodium causes BP fall immediately after injection due to vasodilatation. Fentanyl decreases heart rate as it stimulates vagus and a slight fall in BP occurs. Ketamine increases heart rate , cardiac output and BP due to sympathetic stimulation. Halothane causes direct depression myocardial contractility by reducing intracellular calcium concentration. Cardiac output is reduced with deepening anesthesia. 20-30Hg fall in BP is common. Here the patient is already having hypo tension. Hence ketamine is used as all other drugs further reduce BP. From KD Tripati 7th edition Page no 379,381,384